TRUE regarding chi square test is
1. Null hypothesis is equal
2. Doesn't test the significance
3. Measures the significance of difference between two proportion
4. Tests correlation and regression

Correct answer: 3. Measures the significance of difference between two proportion

Explanation: Ref: Parks 23rd edition pg 852 Chi-square test offers an alternate method of testing the significance of difference between two proportions. Advantage: it can also be used when more than 2groups are to be compared.